Pseudohypertrophy is seen in ?
1. Duchenne muscular dystrophy
2. Fascio scpulohumeral dystrophy
3. Emery Dreifuss muscular dystrophy
4. Myotonic dystrophy

Correct answer: 1. Duchenne muscular dystrophy

Explanation: Ans. is 'a' i.e., Duchene muscular dystrophy Duchene muscular dystrophy Boys with Duchenne muscular dystrophy are normal at birth. Very early motor milestones are met, but walking is often delayed. The first indications of muscle weakness are clumsiness and inability to keep up with peers. Weakness begins in the pelvic girdle muscles and then extends to the shoulder girdle Enlargement of the muscles of the lower leg associated with weakness, termed